Posterior epistaxis is commonly seen in -
1. Children with ethmoidal polyps
2. Foreign bodies of the nose
3. Hypertension
4. Nose picking

Correct answer: 3. Hypertension

Explanation: Ans. is 'c' i.e., Hypertension o Posterior epistaxis is usually spontaneous (due to high BP or atherosclerosis) and is sever enough to requires hospitalization and posterior nasal pack.Epistaxiso Epistaxis refers to bleedingfrom the nose. Epistaxis is a common and often self limiting disease that affects men and women equally. Epistaxis can be divided into 2 categories, anterior bleed (anterior epistaxis) and posterior bleed (posterior epistaxis), on the basis of the site where the bleeding originates.Anterior epistaxisBleeding is from a source anterior to the plane of ihe piriform aperture and blood flows out from the front of nose. More than 90% of bleeds occur anteriorly and arise from little's area, where the Kiesselbach plexus forms on the septum(PGI08. )Bleeding may also from above the level of middle turbinate or below the level ofmiddle turbinate in anterior part of lateral nasal walk .Anterior bleeding is usually due to trauma, and usually mild which can be controlled by local pressure or nasal pack. It mostly occurs in children or young adult.Posterior epistaxisBleeding is from a vessel situated posterior to the piriform aperture and blood usually flows back into the throat. Bleeding is mostly from the posterior superior part of nasal cavity. Bleeding may also occur from woodruff's area. Bleeding is usually spontaneous (due to high BP or atherosclerosis) and is severe enough to requires hospitalisation and posterior nasal pack. It mostly occurs after 40 years of age.